Viterous humor is preserved in:
1. HCl
2. Fluoride
3. Formalin
4. Xylol

Correct answer: 2. Fluoride

Explanation: Ans. Fluoride